All the following are adverse effect of atropine except:
1. Bronchoconstriction
2. Tachycardia
3. Dry mouth
4. Mydriasis

Correct answer: 1. Bronchoconstriction

Explanation: Ans. A. BronchoconstrictionAtropine is anticholinergic drug and result in bronchodilation. other effects are dry mouth, blurred vision, urine retention, constipation, hyperthermia, confusion, delirium, restlessness.